Esophageal atresia may occur as a part of VACTER group of anomalies. What does 'TE' stand for?
1. Tetralogy of Fallot
2. Thoracic empyema
3. Tracheo-esophageal fistula
4. Talipes equinovarus

Correct answer: 3. Tracheo-esophageal fistula

Explanation: c. Tracheo-esophageal fistula(Ref: Nelson's 20/e p 1783, Ghai 8/e p 173)VACTERL association (also called VATER association) refers to the non-random co-occurrence of birth defects including Vertebral anomalies, Anal atresia, Cardiac defects, Tracheoesophageal fistula and/or Esophageal atresia, Renal and Radial anomalies and Limb defects.